Cholesterol present in LDL :
1. Represents primarily cholesterol that is being removed from peripheral cells.
2. Binds to a receptor and diffuses across the cell membrance.
3. On accumulation in the cell inhibits replenishment of LDL receptors.
4. When enters a cell, suppresses activity of acyl-CoA: cholesterol acvtranferase ACAT.

Correct answer: 3. On accumulation in the cell inhibits replenishment of LDL receptors.

Explanation: C i.e. On accumulation in the cell inhibits replenishment of LDL receptors.